True about Birdshot Chorioretinopathy?
1. Unilateral
2. Bilateral
3. Acute onset
4. Most commonly seen in males

Correct answer: 2. Bilateral

Explanation: Ans. (b) BilateralRef: Kanski, 7/e, p. 467; Khurana 6/e, p. 170Birdshot chorioretinopathy is an uncommon idiopathic chronic/recurrent bilateral disease which predominantly affects females. Over 95% patients are positive for HLA A29. The disease involves both the retina and choroid independently.